Which of the following drugs is supposed to prevent congenital neural tube defects -
1. Thiamine
2. Riboflavin
3. Folic acid
4. Pyridoxine

Correct answer: 3. Folic acid

Explanation: Folic acid plays a role in synthesis of nucleic acids. It is needed for normal development of blood cells in the marrow. REF. PARK'S TEXTBOOK OF PREVENTIVE AND SOCIAL MEDICAL 21ST EDITION. PAGE NO - 620